PICA is associated with poisoning of -
1. Lead
2. Arsenic
3. Mercury
4. Phosphorus

Correct answer: 1. Lead

Explanation: Ans. is 'a' i.e., Leado Pica involves repeated or chronic ingestion of non-nutritive substances, which includes plaster, charwal, clay, wool, ashes, patent & earth.o It can result in serious health problems like iron deficiency anemia and lead poisoning.